Backwash ileitis is seen in -
1. Ulcerative colitis
2. Crohn's disease
3. Colonic carcinoma
4. Ileal polyp

Correct answer: 1. Ulcerative colitis

Explanation: Ans. is 'a' i.e.. Ulcerative colitiso Ulcerative colitis always involves the rectum and extends proximally in continuous fashion to involve part or all part of the colon.# Involvement of terminal ileum in ulcerative colitis is called backwash ileitis.